A 48-year-old man presents with recurrent headaches and arthritic pain in his knees of 9 months in duration. He notes that his head size has recently increased. Physical examination reveals a blood pressure of 170/100 mm Hg. The patient is observed to have coarse facial features and a goiter. Urinalysis reveals glucosuria and hypercalciuria. Which of the following is the most likely explanation for this patient's clinical presentation?
1. Excess growth hormone secretion
2. Excess parathyroid hormone secretion
3. Excess prolactin secretion
4. Hypersecretion of bone morphogenetic protein

Correct answer: 1. Excess growth hormone secretion

Explanation: - Given clinical features are suggestive of Acromegaly; which is d/t increased growth hormone, produced by pituitary adenomas. - C/F of Acromegaly: Enlargement of terminal portions of extremities & jaw Headaches and visual disturbances d/t compression on optic chiasma. Menstrual irregularities in women Diabetes mellitus. 1/3rd have hypertension. Hypercalciuria & renal stones in 1/5th of patients - Somatotroph adenoma that arises in a child or adolescent before the epiphyses close results in gigantism.